Under National Vector Borne Diseases Control Programme, operational efficiency of antimalarial measures is assessed by-
1. Annual Parasite Incidence
2. Annual Blood Examination Rate
3. Infant parasite rate
4. Slide positivity rate

Correct answer: 2. Annual Blood Examination Rate

Explanation: Ans. is 'b' i.e., Annual Blood Examination Rate (ABER) Measurement of malaria* In the pre-eradication era, the magnitude of the malaria problem in a country used to be determined mostly from the reports of the clinically diagnosed malaria cases and the classical malariometric measures, e.g., spleen rate, parasite rate etc.* On the other hand, during eradication era, the microscopic diagnosis of malaria cases became the main method of diagnosis and the parameters used are mostly parasitological in nature e.g., API, ABER, SPR and SFR.Measurements of malaria in the pre eradication eraa) Spleen rate: Defined as the percentage of children between 2 & 10 years of age showing enlargement of spleen. Spleen rate is widely used for measuring the endemicity of malaria in a community.b) Average enlarged spleen: A refinement of spleen rate, denoting the average size of spleen.c) Parasite rate: Defined as on the percentage of children between the ages of 2 & 10 yrs showing malarial parsites in their blood films.d) Parasite density index: Average degree of parasitimiae) Infant parasite rate: Percentage of infants showing malarial parasites in their blood films. It is the most sensitive index of recent transmission of malaria in a locality. If the infant parasite rate is zero for three consecutive years in a locality, it is regarded as absence of malaria transmission even though, the Anopheline vectors responsible for previous transmissions may remain.Eradication Eraa) Annual Parasite Incidence (API) = (Confirmed cases during one year / population under surveillance) x 1000. It is the sophisticated measure of malaria incidence and burden of disease in a community.b) Annual Blood Examination Rate = (No. of slides examined/population) x 100. ABER is an index of operational efficiency. In the modified plan of operation, the minimum prescribed is 10 percent of the population in a year.c) Annual falciparum indexd) Slide positivity rate: Slide positivity rate is the percentage of slides found positive for malarial parasite, irrespective of the type of species.e) Slide falciparum rate: It is the percentage of slides positive for P. falciparum.